Adenocarcinoma of ethmoid sinus occurs commonly in?
1. Fire workers
2. Chimney workers
3. Watch markers
4. Wood workers

Correct answer: 4. Wood workers

Explanation: Workers of the furniture industry( woodworkers) develop a demo carcinoma of the ethmoids and the nasal cavity, while those engaged in nickel refining get squamous cell anaplastic carcinoma. (Ref: Textbook of diseases of ENT, PL Dhingra, 7th edition, pg no. 231)